Inheritence of ichthyosis vulgaris is :
1. X linked dominant
2. X linked recessive
3. Autosomal dominant
4. Autosomal recessive

Correct answer: 3. Autosomal dominant

Explanation: C i.e. Autosomal dominant